Which of the following statements are true?
1. Pain of renal origin is a deep-seated, sickening ache
2. Pain from a ureteric stone is colicky and the patient rolls around in agony
3. Pain from the urinary bladder is a suprapubic discomfort
4. All of the above

Correct answer: 4. All of the above

Explanation: ACUTE FLANK PAIN Renal pain is a deep ache in the loin and is caused by stretching of the renal capsule. URETERIC COLIC Sudden severe agonizing colicky pain, started at loin and radiating inferiorly and anteriorly caused by ureteral obstruction & its associated with nausea, vomiting, and urinary symptoms like hematuria or dysuria. There is No aggravating or relieving factors. The pain makes the patient rolling to get comfortable Bladder pain may take the form of wrenching discomfort at the end of micturition referred to as strangury.